What is the cardiothoracic ratio in children is -
1. 30-35%
2. 40-45%
3. 50-55%
4. 60-65%

Correct answer: 3. 50-55%

Explanation: “The cardiac silhouette occupies 50-55% of the chest width.
Cardiomegaly is present when the cardiothoracic (CT) ratio is more than 55%” he CTR is measured on a PA chest x-ray and is the ratio of maximal horizontal cardiac diameter to maximal horizontal thoracic diameter (inner edge of ribs / edge of pleura).
A normal measurement should be <0.5(50%).